All symptoms are included in diagnostic criteria of major depression, except-
1. Indecisiveness
2. Insomnia
3. Poor concentration
4. None of the above

Correct answer: 4. None of the above